All are true regarding transforming growth factor? p except-
1. Proliferation for fibroblast
2. Proliferation of endothelial cells
3. Chemotaxis of fibroblasts
4. Activation of macrophages

Correct answer: 4. Activation of macrophages

Explanation: Ans. is `d' i.e., Activation of macrophagesAlso see above explanation.Growth factors and cytokines involved in regeneration and wound healingGrowth factor Epidermal growth aTransforming growth factor aHeparin-binding EGFHepatocyte growth factor/scatter factorVascular endothelial cell growth factor (isoforms A,B,C,D)Platelet-derived growth factor (isoforms A,B,C,D)Fibroblast growth factor 1 (acidic), 2 (basic), and familyTransforming growth factor 13 (isoforms 1,2, 3); other members of the family are BMPs and activinFunctionsMitogenic keratinocytes and fibroblasts; stimulates keratinocyte migration and granulation tissue formationSimilar to EGF; stimulates replication of hepatocytes and most epithelial cellsKeratinocyte replicationEnhances proliferation of hepatocytes, epithelial cells, and endothelial cells; increases cell motility, keratinocyte replicationIncreases vascular permeability; mitogenic for endothelial cells; angiogenesisChemotactic for PMNs, macrophages, fibroblasts, and smooth muscle cells; activates PMNs, macrophages and fibroblasts; mitogenic for fibroblasts, endothelial cells, and smooth muscle cells; stimulates production of MMPs, fibronectin, and HA; stimulates angiogenesis and wound contractionChemotactic for fibroblasts; mitogenic for fibroblasts and keratinocytes; stimulates keratinocyte migration, angiogenesis, wound contraction and matrix depositionChemotactic for PMNs, macrophages, lymphocytes fibroblasts and smooth muscle cells; stimulates TIMP synthesis, angiogenesis and fibroplasia; inhibits production of MMPs and keratinocyte proliferationKeratinocyte growth Ka Fibroblasts Stimulates keratinocyte migration, proliferationfactor (also called and differentiationFGF-7)Tumor necrosis factor TNF Macrophages mast cells, Activates macrophages; regulates otherT lymphocytes cytokines, multiple functions